Renal biopsy is indicated in all the following conditions except:
1. CRF with normal size kidney
2. Size<60%
3. Glomerular disease in adults
4. Asymptomatic proteinuria

Correct answer: 2. Size<60%

Explanation: (B) Size<60%# Renal biopsy is used to establish the nature and extent of renal disease in order to judge the prognosis and need for treatment.# Indications:> Acute renal failure that is not adequately explained> CRF with normal-sized kidneys> Nephrotic Syndrome or glomerular proteinuria in adults.> Nephrotic Syndrome in children that has atypical features or is not responding to treatment> Isolated haematuria with "renal" characteristics or associated abnormalities.> Asymptomatic proteinuria (> 1 gm/day)# Contraindications:> Coagulation disordered or thrombocytopenia> Uncontrolled hypertension Kidneys < 60% predicted size Solitary kidney (except transplants)> Infections - perinephritic abscess, pyonephrosis etc.> Cystic disease - Hydronephrosis, polycystic disease of kidneys or large solitary cyst.> Hypernephroma